Which of the following does NOT supply the breast
1. Lateral thoracic artery
2. Thoracoacromial artery
3. Posterior intercostals arteries
4. Costoclavicular artery

Correct answer: 4. Costoclavicular artery

Explanation: Internal thoracic artery, a branch of subclavian artery supplies through its perforating branches. Lateral thoracic,superior thoracic and acromiothoracic branches of axillary artery. Lateral branches of posterior intercostal arteries. B D Chaurasia 7th edition Page no : 38 Figure 3.8 page no: 37 6th edition BD chaurasia- upper limb & thorax